Of the following defense mechanisms, which is considered the most mature?
1. Denial
2. Sublimation
3. Dissociation
4. Regression

Correct answer: 2. Sublimation

Explanation: Sublimation: expressing an unacceptable emotion in a socially acceptable way, is classified as a mature defense mechanism. Denial, dissociation, regression, and intellectualization are all classified as less mature defense mechanisms.